When muscle glycogen is used for anarrobic glycolysis, how many ATPs are formed
1. 2
2. 3
3. 4
4. 7

Correct answer: 2. 3

Explanation: Normally anarrobic glycolysis produces 2 ATPs - But the end product of muscle glycogendysis is glucose - 6 - phosphate. Glucose - 6 - phosphatase) is absent in muscle. So the step catalysed by hexokinase / Glucokinase is not needed. Hence the answer is 3.